Which of the following is required for glycogen phosphorylase in glycogenolysis?
1. Thiamine pyrophosphate
2. Pyridoxal phosphate
3. FAD
4. Citrate

Correct answer: 2. Pyridoxal phosphate

Explanation: Ans: B (Pyridoxal phosphate) Ref: Harper's Illustrated Biochemistry, 28th edition.Explanation:Glycogen phosphorylaseThis enzyme catalyzes the rate-limiting step in glvcogenolysis by releasing glucose-i- phosphate from the terminal alpha-1, 4- glycosidic bond.Glycogen phosphorylase has a pyridoxal phosphate (PLP. derived from Vitamin B6) at each catalytic site.